Adenocarcinoma in oesophagus occurs in
1. Midline oesophagus
2. Upper oesophagus
3. Barrett's esophagus
4. Zenkers diverticulum

Correct answer: 3. Barrett's esophagus

Explanation: BARRETT's ulcer is an ulcer in columnar epithelium lined Barrett's oesophagus. It is more prone for Bleeding, Perforation, and Adenocarcinoma of oesophagus( very high, more than 40 times). Treatment for Barrett's ulcer is endoscopic biopsy and resection. Reference: SRB's Manual of Surgery, 6th Edition, page no= 788.